Risk factors associated with development of Gou include all of the following, Except :
1. Female sex
2. Alcohol
3. Hyperlipidemia
4. Hypertension

Correct answer: 1. Female sex

Explanation: Answer is A (Female Sex): Male sex is a risk factor for development of gout. Gout is more widespread in men than women. Women represent only 5-20 percent of patients with gout. Women are seldom affected until after menopause. Premenopausal gout is rare due to uricosuric effect of estrogen Non-modifiable and modifiable risk factors for gout Non modifiable risk factors Modifiable risk factors Age (Increasing age) Hyperuricemia Gender (Male) Obesity Race Hypertension Ethnicity Hyperlipidemia Ischemic cardiovascular disease Diabetes mellitus Chronic kidney disease Dietary factors Medications that alter urate balance